MC affected valve in RHD:
1. Mitral
2. Tricuspid
3. Aortic
4. Pulmonary

Correct answer: 1. Mitral

Explanation: Ans. A i.e. Mitral In rheumatic fever, the mitral valve is involved most frequently followed by the aortic valve